Maximum are a of representation in the motor cortex is for
1. Face & hand
2. Leg & thigh
3. Perineum
4. Neck

Correct answer: 1. Face & hand

Explanation: (A) Face & hand